Anterior gliding of tibia on femur prevented by -
1. Anterior cruciate ligament
2. Posterior cruciate ligament
3. Ligament of humprey
4. Ligament of wriesberg

Correct answer: 1. Anterior cruciate ligament

Explanation: Ans. is 'a' i.e., Anterior cruciate ligament * ACL provides antero-posterior stability and prevents anterior gliding of tibia on femur and prevents hyperextension.* PCL prevents posterior gliding (subluxation) of tibia over femur.